All of the following drugs can cause gynaecomasia except
1. Digoxin
2. Amiloride
3. Cimetidine
4. Spironolactone

Correct answer: 2. Amiloride

Explanation: Ref-KDT 7/e p589 Drugs which causes gynaecomasia are Cimitidine Cytotoxic agents Digoxin Spironolactone Flutamide